Which of the following is the terminal group of lymph node foe colon ?
1. Paracolic
2. Epicolic
3. Preaortic
4. Ileocolic

Correct answer: 3. Preaortic

Explanation: .Groups of Lymph Nodes Draining Colon * N1: Nodes immediately adjacent to bowel wall. * N2: Nodes along ileocolic/right colic/middle colic/ left colic/sigmoid arteries. * N3: Nodes near the origin of SMA and IMA. * Nodal spread in carcinoma colon is sequential from N1 - N2 - N3 ref:SRB'S manual of surgery,ed 3,pg no 837